The substance that is a vasodilator elsewhere but causes vasoconstriction in kidneys (afferent arteriole) is:
1. Nitric oxide
2. Adenosine
3. Bradykinin
4. Endothelin

Correct answer: 2. Adenosine

Explanation: Adenosine has 2 receptors - A1 & A2 A2 vasodilation (elsewhere) A1 vasoconstriction (kidney) Adenosine is a ligand, part of the tubuloglomerular feedback. Macula densa cells sense the Na+ level in tubular fluids. Excess Na+ reaching macula densa cells Na+ / K+ ATPase pump in basolateral membranes transport Na & K+ by degrading ATP Adenosine formed as a by product Adenosine acts as a ligand on the A1 receptors of afferent arteriole Constriction of afferent arterioles